Sensorineural deafness in neonates is best diagnosed by:
1. BERA
2. OAE
3. Tympanometry
4. Electrocochleography

Correct answer: 1. BERA

Explanation: Ans. (a) BERA Ref: Dhingra's ENT 5th ed. / 31-32 Screening with OAE, Final confirmation with BERA. * Otoaoustic emission are low intensity sounds produced by outer hair cells of normal cochlea. This sound travels in a reverse direction from outer hair cells to external auditory canal via middle ear. It is used as a screening test of hearing in neonates and uncooperative and mentally challenged individuals. * OAE is considered as best test for screening of hearing in neonates * BERA is brainstem evoked response audiometry. Can be used as screening procedure and threshold of hearing in infants. Mainly used to diagnose retrocochlear pathology. Ex: Acoustic Neuroma. * Tympanometry is considered as IOC for otosclerosis. * Electrocochleography: used to find out threshold of hearing in young infants and children. It is also the most sensitive test for Meniere's disease.